1st sign of puberty in males is -
1. Increase testicular volume
2. Peak growth velocity'
3. Penis enlargement
4. Increased pubic hair

Correct answer: 1. Increase testicular volume

Explanation: Ans. is 'a' i.e., Increase testicular volume o In boys, the first visible sign of puberty and the hallmark of SMR 2 is testicular enlargement,o The sequence of development of secondary' sexual characteristic in hoys is -# Testicular enlargement - Penis enlargement - Pubic hair growth - Peak growth velocity - Axillary hair - facial hair.o In girls, the first visible sign of puberty is the appearance of breast buds (Thelarche), between 8-12 years of age.o In boys the first visible sign of puberty is testicular enlargement, beginning as early as 9 1/2 yr.